The main products of HMP shunt are all except ?
1. 6-NADPH
2. 2-Fructose-6-PO4
3. 1-Glyceraldehyde-3-po4
4. 1-CO2

Correct answer: 4. 1-CO2

Explanation: D i.e. 1 CO2